In civil negligence cases against the doctor, the onus of the proof lies with:
1. Doctor
2. Patient
3. First class judicial magistrate
4. Police not below the rank of sub-inspector

Correct answer: 2. Patient

Explanation: Ans. Patient